Calcium channel blockers are used for all except
1. Angina
2. Supraventricular Arrythymia
3. Sick sinus syndrome
4. Hypertension

Correct answer: 3. Sick sinus syndrome

Explanation: Calcium channel blockers are contraindicated in sick sinus syndrome along with beta blockers . Sick sinus syndrome, also known assinus node dysfunction (SND), is adisorder of the sinoatrial (SA) node caused by impaired pacemaker function and impulse transmission producing a constellation of abnormal rhythms Refer kDT 6/e p532